Peptic ulcer is associated with all except one:
1. Cirrhosis
2. Zollinger Ellison syndrome
3. Primary hyperparathyroidism
4. Pernicious anemia

Correct answer: 4. Pernicious anemia

Explanation: Specific Chronic Disorders Associated with PUD With strong associations With possible associations Systemic mastocytosis Chronic pulmonary diseases Chronic renal failure Cirrhosis Nephrolithiasis Alpha-1-antitrypsin deficiency Hyperparathyroidism Coronary artery disease Polycythemia Vera Chronic Pancreatitis Ref: Sabiston 20th edition PGno: 1918